Triage means:
1. First comes first served basis
2. Treating person with better prognosis
3. Labelling the death patients
4. Identifying seriously ill who needs treatment first

Correct answer: 4. Identifying seriously ill who needs treatment first

Explanation: Ans: (d) Identifying seriously ill who needs treatment firstRef: Emergency Department Leadership and Management by Stehanie Kayden, Page 203 4.Triage is systemic approach to rapidly identifying patients with urgent or life threatening conditions.Defined as "A system where by a group of casualties or other patients are sorted according to seriousness of their injuries or illness so that treatment priorities can be allocated between them.In emergency situations it is designed to maximize the no. of survivors."First come first treated" is not applicable in mass casualties.Example of Color Coded Triage SystemPriorityColourHighRedMediumYellowAmbulatoryGreenDead or moribundBlack